The Couinaud's segmental nomenclature is based on the position of the :
1. Hepatic veins and portal vein
2. Hepatic veins and biliary ducts
3. Portal vein and biliary ducts
4. Portal vein and hepatic artery

Correct answer: 1. Hepatic veins and portal vein

Explanation: A i.e. Hepatic vein & portal vein